The principle of 'seeing is believing' and 'learning by doing' is up held by which method of communication
1. Workshop
2. Demonstration
3. Lecture
4. Group discussion

Correct answer: 2. Demonstration

Explanation: Demonstration is presentation to show how to perform a skill or procedure.

Eg : Oris technique, Environmental sanitation.

Demonstration up holds principle of "seeing is beliving" and "learning by doing".